Dantrolene sodium reduces skeletal muscle tone by :
1. Reducing acetylcholine release from motor nerve endings
2. Suppressing spinal polysynaptic reflexes
3. Inhibiting the generation of muscle action potential
4. Reducing Ca2+ release from sarcoplasmic reticulum in the muscle fibre

Correct answer: 4. Reducing Ca2+ release from sarcoplasmic reticulum in the muscle fibre